Nitroglycerine is effective when adminsted sublingually because it is
1. non ionized and lipid soluble
2. ionized and lipid soluble
3. non ionized and water insoluble
4. ionized and water soluble

Correct answer: 1. non ionized and lipid soluble

Explanation: Nitroglycerin is effective when retained sublingually because it is non ionized and has very high lipid solubility.Thus,the drug is absorbed very rapidly. (Ref-Goodman Gillman12th/e p124,125)